A 24-year-old male presented with a 4-year history of abdominal pain, periodic diarrhea, low-grade fever, and easy fatigability is found to have an entero-enteric fistula on contrast radiography. Colonoscopy shows "cobblestone" mucosa that has linear ulcerations with "skip areas" of normal bowel wall. Which of the following is most likely explanation of fistula formation in this patient?
1. Intramural granulomas
2. Transmural inflammation
3. Marked lymphoid reaction
4. Skip lesions of the intestinal wall

Correct answer: 2. Transmural inflammation

Explanation: - Given clinical features suggests the diagnosis of Crohn's disease - Transmural inflammation explains 2 most common complications of Crohn's disease - i.e Strictures & fistulas. Necrosis of the intestinal wall causes ulcer formation which can penetrate entire thickness of affected intestinal wall, leading to formation of fistula Chronic inflammation causes edema & fibrosis leading to narrowing of intestinal lumen - strictures